All of the following are features of absence seizures except -
1. Usually seen in childhood
2. 3-Hz spike wave in EEG
3. Postictal confusion
4. Preciptation by hyperventilation

Correct answer: 3. Postictal confusion